Basal cell carcinoma is seen in most commonly in which part of the eyelid?
1. Upper medial
2. Upper lateral
3. Lower medial
4. Lower lateral

Correct answer: 3. Lower medial

Explanation: (Refer: AK Khurana Comprehensive Ophthalmology, 6th edition, pg no. 384)*Basal cell carcinoma is the commonest malignant tumor to the lids (90%) usually seen in elderly people *It is locally malignant and involves most commonly lower lid (50%) followed by medial canthus (25%), upper lid (10-15%) and outer canthus"Basal cell carcinoma is seen in the lower lid near the inner canthus usually